Cavernous sinus thrombosis following sinusitis results in all of the following signs except:
1. Constricted pupil in response to light
2. Engorgement of retinal veins upon ophthalmoscopic examination
3. Ptosis of eyelid
4. Ophthalmoplegia

Correct answer: 1. Constricted pupil in response to light

Explanation: Ptosis and ophthalmoplegia occur in cavernous sinus thrombosis due to involvement of III and IV and V cranial nerves. Retinal vessels are also engorged but pupils are fixed and dilated,due to involvement of III nerve and sympathetic plexus. Ref Dhingra 5/e,p 214.